"Rain drop'skull is seen in -
1. Burkitfs lymphoma
2. Hodgkin's lymphoma
3. Multiple myeloma
4. Haemophilia

Correct answer: 3. Multiple myeloma

Explanation: Ans. is 'c' i.e., Multipie Myeloma Pain film on chest x-ray in multiple mvelomaDiffused unexplained osteoporosis, especially in spineo Diffuse loss of densityo Thinning of corticeso Lower thoracic and lumbar regions most commonly involvedo Pathological vertebral collapse inevitable single or multiple# Vertebral plana# Wrinkled vertebra of myelomao Sharply circumscribed osteolytic defects (radiological hallmark of myeloma)# Punched out lesions (multiple round purely lytic)# Most common in skull, pelvis, long bones, clavicles, ribs in long bones diaphysis most commonly involved# Humerus andfermur most common sites# Widespread lesions of skull (rain drop skull)# Size of lesions tend to be fairly uniform : round or oval# No reactive sclerosis